Sabin Feldman dye test is used for:
1. Toxoplasma
2. Plasmodium
3. Syphilis
4. Herpes

Correct answer: 1. Toxoplasma

Explanation: a. Toxoplasma(Ref: Nelson 20/e p 1728)The Sabin-Feldman dye test is sensitive & specific for Toxoplasma; It measures primarily IgG antibodies